Antral sign is seen in -
1. Juvenile angiofibroma
2. Otosclerosis
3. CSOM
4. Sinusitis

Correct answer: 1. Juvenile angiofibroma

Explanation: Antral sign or Holman-Miller sign (anterior bowing of posterior wall of maxillary sinus) on CT scan is pathognomic of JNA.